As deglutition involved voluntary and involuntary stages, so among the following, which structure limits the size of bolus swallowed:
1. Soft palate
2. Posterior pharyngeal pillars
3. Upper esophageal sphincter
4. Larynx

Correct answer: 2. Posterior pharyngeal pillars